When one drug decreases or inhibits the action of other it is called?
1. Antagonism
2. Agonism
3. Inverse agonism
4. Synergism

Correct answer: 1. Antagonism

Explanation: Ans. is 'a' i.e., Antagonism When one drug decreases or inhibits the action of other. Effect of drugs A + B < effect of drug A + effect of drug B. Antagonism may be : a) Physical Based on physical property b) Chemical The two drugs react chemically and form an inactive product. c) Physiological/functional The two drugs act on different receptors or by different mechanisms, but have opposite overt effects on the same physiological function ie have pharmacological effect in opposite direction. (E) Receptor The antagonist interferes with binding of the agonist with its receptor or inhibits the generation of response consequent to such binding.